Drug used for both attack as well as prophylaxis of angina:
1. Isosorbide dinitrate
2. Diltiazem
3. Verapamil
4. Dipyridamole

Correct answer: 1. Isosorbide dinitrate

Explanation: Ans. A. Isosorbide dinitrateIsorbide dinitrate is given for both acute attack as well as prophylaxis of angina, diltiazem is only used for prophylaxis. Dipyridamole worsens angina by coronary steal phenomenon.